Clinical signs of occlusal trauma include all except:
1. Periodontal pockets
2. Migration of teeth
3. Tenderness on percussion
4. Increased width of periodontal ligament

Correct answer: 1. Periodontal pockets